The following are given intradermally except
1. BCG vaccine
2. Insulin
3. Test dose of drugs
4. Mantoux test

Correct answer: 2. Insulin